Artery of hindgut is ?
1. Descending artery
2. Superior mesenteric artery
3. Inferior mesenteric artery
4. Coeliac trunk

Correct answer: 3. Inferior mesenteric artery

Explanation: Ans. is 'c' i.e., Inferior mesenteric artery Part of GutArteryForegutCoeliac trunkMidgutSuperior mesenteric arteryHindgutInferior mesenteric artery